KOH wet mount is prepared for ?
1. Herpes Zoster
2. Candida
3. Gonorrhea
4. Trichomonas vaginalis

Correct answer: 2. Candida

Explanation: Ans. is 'b' i.e., Candida